Glycated haemoglobin reflects blood glucose of preceding -
1. 01-week
2. 2-3 weeks
3. 4-5 weeks
4. 6-8 weeks

Correct answer: 4. 6-8 weeks